Which of the following is an aberrant conduction pathway?
1. Bachman's bundle
2. Wenckebach's bundle
3. Thorel's bundle
4. Kent's bundle

Correct answer: 4. Kent's bundle

Explanation: The 3 internodal pathways that connect SA node to AV node - (1) anterior Bachman's bundle, (2) middle Wenckebach's bundle, and (3) posterior Thorel's bundle. Bundle of Kent is an aberrant anomalous path that connects SA node directly to the ventricles, bypassing the AV node. It is found in the condition called Wolff-Parkinson-White (WPW) syndrome. In WPW syndrome, there is no AV nodal delay. Hence, ventricular contraction starts very early, before its filling has occurs substantially. This will reduce the stroke volume In the absence of AV nodal delay, there is shortened PR interval on ECG. d ("delta") wave is seen on ECG; it results from the shortened PR interval.